The right lobe of liver consists of which of the following surgical segments?
1. V, VI, VII and VIII
2. IV, V. VI, VII and VIII
3. I, V, VI, VII and VIII
4. I, IV, V, VI, VII and VIII

Correct answer: 1. V, VI, VII and VIII

Explanation: Liver is divided into 8 surgical segments based on portal segmentation, such that any of the 8 segment can be resected while preserving the vascular inflow, venous outflow and biliary drainage of remaining segments. Right lobe of liver consist of segments V, VI,VII and VIII. The right liver is divided into anterior (segment V and VIII) and posterior (segment VI and VII) by right portal scissura comprising of right hepatic vein. Left lobe consists of segment II, III and IV. Left lobe is divided into left lateral section (segments II and III) and left medial section segment IV) by left portal scissura. Segment I or caudate lobe is autonomous as its vasculature and biliary drainage is independent of the portal pedicles and the hepatic veins. Ref: Surgical Oncology edited by David L Bartlett, page 424.